Which of the following viruses does not produce viral esophagitis?
1. Herpes simplex
2. Adenovirus
3. Varicella
4. Cytomegalovirus

Correct answer: 2. Adenovirus

Explanation: Organisms causing infectious esophagitis:HSV 1 & 2Varicella-zoster virusCytomegalovirusHIVLactobacillus and B-hemolytic streptococciCryptosporidiumPneumocystis carniiMycobacterium tuberculosisCandida albicans(Ref: Harrison's 18/e p2436)